During inferior alveolar nerve block the needle of LA syringe is penetrated into parotid gland which of the following structure is most likely to be penetrated:
1. Lingual nerve
2. Lingual artery
3. Internal carotid artery
4. External carotid artery

Correct answer: 4. External carotid artery